Outward displacement of fractured hyoid bone is seen in:
1. Manual strangulation
2. Ligature strangulation
3. Hanging
4. Bansdola

Correct answer: 3. Hanging

Explanation: Ans. Hanging